Western equine encephalitis virus is transmitted by ?
1. Anophales mosquito
2. Culex mosquito
3. Sandfly
4. Aedes mosquito

Correct answer: 2. Culex mosquito

Explanation: Ans. is 'B' i.e., Culex mosquito